Excessive fixing of an x-ray film:
1. Cause brown stains
2. Reduces the density
3. Increases the density
4. No effect on density

Correct answer: 2. Reduces the density

Explanation: The degree of darkening or opacity of an exposed film is referred to as optical density.
Excessive fixation causes the image to become light, thereby reducing the optical density of the X-ray film.
White and Pharoah's Oral Radiology Principles and Interpretation 8th edition